Method of identification using lips?
1. Dactylography
2. Podogram
3. Cheiloscopy
4. None

Correct answer: 3. Cheiloscopy

Explanation: Repeat question.